The mechanism of hearing and memory includes all EXCEPT:
1. Changes in the level of neurotransmitter at synapse
2. Increasing protein synthesis
3. Recruitment by multiplication of neurons
4. The spatial reorganisation of synapse

Correct answer: 3. Recruitment by multiplication of neurons

Explanation: Memories are stored in the brain by changing the basic sensitivity of synaptic transmission between neurons as a result of previous neural activity. The new or facilitated pathways are called memory traces. They are important because, once the traces are established they can be selectively activated by the thinking mind to reproduce the memories. Also, long-term memories result from changed synaptic conduction in lower brain centers.
Stereocilia, project upward from the hair cells and either touch or are embedded in the surface gel coating of the tectorial membrane, which lies above the stereocilia in the scala media. These hair cells are similar to the hair cells found in the macula and cristae ampullaris of the vestibular apparatus. Bending of the hairs in one direction depolarizes the hair cells, and bending in the opposite direction hyperpolarizes them. This in turn excites the auditory nerve fibers synapsing with their bases. When the basilar fibers bend toward the scala vestibuli, the hair cells depolarize, and in the opposite direction they hyperpolarize, thereby generating an alternating hair cell receptor potential that, in turn, stimulates the cochlear nerve endings that synapse with the bases of the hair cells. It is believed that a rapidly acting neurotransmitter is released by the hair cells at these synapses during depolarization. It is possible that the transmitter substance is glutamate, but this is not certain.
Reference: GUYTON AND HALL TEXTBOOK OF MEDICAL PHYSIOLOGY, THIRTEENTH EDITION(INTERNATIONAL EDITION ) page no 746,748,676,677